Calcium enters the cardiac cell during:
1. Rapid upstroke of the action potential
2. Down slope of the action potential
3. Plateau phase of the action potential
4. Slow diastolic depolarization (phase  4) of the action potential

Correct answer: 3. Plateau phase of the action potential